Modified radical neck dissection includes which level of cervical lymph nodes
1. I - III
2. I - IV
3. I - V
4. I - VII

Correct answer: 3. I - V

Explanation: I-V: Lymph nodes of Submental,Submandibular,Upper,Middle,Lower Jugular and Posterior triangle region are removed along with its fibrofatty tissues Ref: Textbook of ENT; Dhingra; 6th edition; Page no: 388 ref img